The spirochete which is associated with
fusospirochetosis is
1. Treponema pallidum
2. Treponema pertenue
3. Borrelia burgdorferi
4. Borrelia vincenti

Correct answer: 4. Borrelia vincenti